Culture media of leptospirosis -
1. Korthof
2. Perkin
3. Tinsdale
4. Baker's

Correct answer: 1. Korthof